Most common site of metastases in case of osteosarcoma is
1. Brain
2. Lungs
3. Liver
4. Bladder

Correct answer: 2. Lungs

Explanation: Ans. is 'b' i.e., Lungs * Almost 10% of the patient have metastases at presentation. Metastases is most common to lungs, but hematogenous spread to other organs is also possible - including lymph nodes, brain and skeleton.